Which one of the following drugs is not used in endometriosis?
1. Danazol
2. Progestins
3. GnRH agonists
4. Misoprostol

Correct answer: 4. Misoprostol

Explanation: Drugs used for medical management of endometriosis are: Oral contraceptive pills Mirena: LNG IUCD progesterones: Dienogest, Medroxyprogesterone, dydrogesterone Androgens: danazol GnRH analogues Mifepristone